The production of cervical mucus is predominantly stimulated by which of the following hormone?
1. Progesterone
2. Estradiol
3. Estriol
4. Pregnenolone

Correct answer: 2. Estradiol

Explanation: Cervical mucus is a complex heterogenous secretion produced by the glands of the endocervix. Estrogen mainly estradiol (the most potent estrogen), stimulates cervical mucus production and as its levels rise during the follicular phase mucus become more abundant, watery and less cellular. Progesterone inhibits cervical mucus production and makes it opaque, viscid and impenetrable. Cervical mucus: It is composed of 92-98% water, and 1% inorganic salts mainly sodium chloride. It also contains simple sugars, polysaccharides, proteins and glycoproteins. Its pH is usually alkaline ranging from 6.5 to 9.0. Ferning is a method used to estimate hormone levels. Ferning refers to the characteristic microscopic pattern that results from the crystallization of the inorganic salts in the cervical mucus when it is dried. As the level of estrogen increases, dried mucus begin to demonstrate ferning in the later part of follicular phase. Absence of ferning indicates inadequate estrogen stimulation of endocervical glands or inhibition of endocervical glands by increased secretion of progesterone. Ref: Poh Pathophysiology: Concepts of Altered Health States By Charlotte Pooler page 1007. Clinical Gynecologic Endocrinology and Infertility By Marc A. Fritz, page 1168.